False perception with sensory stimulus is
1. Delusion
2. Hallucination
3. Perseverance
4. Illusion

Correct answer: 4. Illusion

Explanation: Ans. d (Illusion) (Ref. Ahuja Psychiatry 6th/pg. 263)TermMeaningHallucinationsAre perceptions in the absence of external stimuli.IllusionsAre misinterpretations of actual external stimuli.DelusionsAre false beliefs not shared with other members of culture/subculture that are firmly maintained in spite of obvious proof to the contrary.